A 34-year-old swimmer presents to your office with an external ear canal infection (otitis externa). The patient coughs during inspection of the external auditory meatus with a speculum. The cough results from the irritation of which nerve that innervates an area of the external auditory meatus?
1. Vestibulocochlear
2. Vagus
3. Trigeminal
4. Facial

Correct answer: 2. Vagus

Explanation: The vagus nerve innervates a part of the external auditory meatus and, when stimulated, can trigger a cough reflex in about 20% of people. This is thought to be due to "referred sensation" from the vestibule of the larynx, which is innervated by the vagus nerve. The vestibulocochlear nerve is associated only with the inner ear. The trigeminal nerve does provide some innervation to the external auditory meatus but does not affect the cough reflex as does the vagus nerve. The auricular branch of the facial nerve only provides a small amount of general sensory supply to the external ear; it is not associated with the cough reflex.